For effective protection after unprotected intercourse one single tab of levonorgestrel 0.75mg has already been taken, when to take next dose?
1. 1 tab after 24 hrs
2. 1 tab after 12 hrs
3. 2 tab after 12 hrs
4. 2 tab after 24 hrs

Correct answer: 2. 1 tab after 12 hrs

Explanation: WHO recommends any of the following drugs for emergency contraception: Em Contraception Pillss with Ullipristal acetate, taken as a single dose of 30 mg; ECPs with LNG taken as a single dose of 1.5 mg, or alternatively, LNG taken in 2 doses of 0.75 mg each, 12 hours apart. COCs, taken as a split dose, one dose of 100 mg of ethinyl estradiol plus 0.50 mg of LNG (2 tabs of low dose pills or single high dose pill) and repeat same dose after 12 hours (Yuzpe method)